Split laceration is seen with?
1. Blunt tangential impact
2. Blunt perpendicular impact
3. Horizontal crushing impact
4. Impact against sharp objects

Correct answer: 2. Blunt perpendicular impact

Explanation: ANSWER: (B) Blunt perpendicular impactREF: Parikh 6'* edition page 4.10Types of lacerated wound:TypeMechanismCommentsSplit lacerationBlunt perpendicular impactFound on overlying bones Looks like incised woundStretch lacerationBlunt tangential impactOverstretching of skin till it splitsAvulsionHorizontal chrushing impactDegloving of skinTearImpact against irregular or sharp objects Internal lacerationBlunt force exceeding tensile strength of organs